TRUE about immunoglobulins is -
1. IgE fixes complement
2. IgM fixes complement
3. IgG is found in minimum concentration
4. IgG is elevated in primary immune response

Correct answer: 2. IgM fixes complement

Explanation: IgM is particularly effective at complement activation by binding to C1 Ref: Ananthanarayan & Parker's textbook of microbiology 9th edition pf:98